The maximum ozone concentration in the polluted atmosphere is dependent on the concentration and ratio of nitrogen oxides and
1. Carbon monoxide
2. Lead
3. volatile organic compounds
4. Sulphur dioxide

Correct answer: 3. volatile organic compounds

Explanation: Ozone is formed by the photochemical reaction of sunlight with pollutants such as nitrogen oxides from vehicles, industrial emissions and volatile organic compounds. The highest level of ozone pollution occurs during periods of sunny weather. Park's Textbook of Preventive and Social Medicine, 25th edition, Page No. 794